Man comes with head injury investigation of choice -
1. CECT
2. X - ray
3. MRI
4. Plain CT

Correct answer: 4. Plain CT

Explanation: Ans. is 'd' i.e., Pain CT